Damage to the sixth cranial nerve will produce which deficit in eye movement?
1. Inability to move the eyes in a vertical up-and down motion
2. Inability to rotate the eyes within the eye socket
3. Inability to move the eyes laterally toward the midline
4. Inability to move the eyes laterally away from the midline

Correct answer: 4. Inability to move the eyes laterally away from the midline

Explanation: The sixth cranial nerve (abducens nerve) innervates the lateral rectus muscle, which is attached to the lateral surface of the globe of the eye. Contraction of the lateral rectus muscle results in movement of the eyeball laterally away from the midline of the face in an abducting manner--thus the name abducens nerve. Damage to this nerve results in inability to move the eyes laterally away from the midline.